Von-Meyenburg complexes are seen
1. Brain
2. Liver
3. Kidney
4. Spleen

Correct answer: 2. Liver

Explanation: VON MEYENBURG COMPLEXES Von Meyenburg complexes (VMCs), also called bile duct microhamartomas, are a developmental malformation that occurs within the spectrum of polycystic disease of the liver or, more often, sporadically. There is no sex predilection. They are relatively common lesions and are identified in 5.6% of adult autopsies. They represent a type of ductal plate malformation resulting from a remodeling deficiency of the primitive ductal plate. VMCs are small, gray-white, round or slightly irregular lesions, usually measuring less than 5 mm. Often multiple, they occur at the capsular surface or deeper within the liver parenchyma. They are located adjacent to or within portal tracts. They consist of numerous small to medium-sized irregularly shaped, often branched dilated ductules with flattened lining and bland nuclei, embedded in a dense fibrotic tissue. Neutrophils may be seen around the ductules or infiltrating the epithelium, and the lumen often contains proteinaceous debris or bile. REFERANCE.MEDS CAP.COM